Nosocomial pneumonia is most commonly caused by-
1. Gram -ve bacilli
2. Gram + ve bacilli
3. Gram - ye cocci
4. Mycoplasma

Correct answer: 1. Gram -ve bacilli